Acute suppurative Otitis media (ASOM) is treated using all except:
1. Erythromycin
2. Penicillin
3. Streptomycin
4. Cephalosporin

Correct answer: 3. Streptomycin

Explanation: (c) Streptomycin(Ref. Scott Brown, 8th ed., Vol 2; 142)Streptomycin--an aminoglycoside is used in anti- tubercular treatment.The MC organism causing ASOM is Streptococcus pneumoniae followed by Haemophilus influenzae. So beta-lactum, macrolides and fluro-quinolones active against these bacteria, are the antibiotics of choice.